Lepromin test is strongly positive in:
1. Tuberculoid (TT)
2. Lepromatous (LL)
3. Borderline lepromatous (BL)
4. Borderline borderline (BB)

Correct answer: 1. Tuberculoid (TT)

Explanation: Ans. A i.e. Tuberculoid (TT)